Best method of contraception in a commercial sex worker -
1. IUCD
2. OCP
3. Permanent sterilization
4. Barrier methods

Correct answer: 4. Barrier methods